Upstroke of action potential would lead to
1. Net current in an outward direction
2. Cell interior becomes more negative
3. Cell interior becomes less negative
4. None of the above

Correct answer: 3. Cell interior becomes less negative